The lung pathology occurring in persons working in cotton- wool industries is
1. Asthma like features
2. Hypersensitivity pnemonitis
3. Lung Ca
4. Chronic bronchitis

Correct answer: 1. Asthma like features

Explanation: Ans. (a) Asthma like features(Ref: Robbins 9th 689)In 10-25% cases, disease may be progressive, with chest tightness recurring or persisting throughout the workweek.After >10 years of exposure, workers with recurrent symptoms are more likely to have an obstructive pattern on pulmonary function testing.